Risk of pneumococcal meningitis is seen in ?
1. Post splenectomy patient
2. Patient undergone neurosurgical intervention
3. Patient following cardiac surgery
4. Patient with hypoplasia of lung

Correct answer: 1. Post splenectomy patient

Explanation: Ans. is 'a' i.e., Post splenectomy patient Splenectomv and pneumococcal infection After splenectomy pneumococcal infection can cause fulminant disease like pneumococcal meningitis. Absence of spleen predisposes pneumococcal infection due to ? 1) Relative or absolute deficiency of opsonic antibody activity or an inability to induce a sufficient type - specific antibody response. 2) Normally slow passage of blood through the splenic sinuses and prolonged contact with R.E.cells in the cord of Billroth allows time for bacterial clearance. After splenectomy this defence does not work. 3) Tuftsin, a naturally occuring tetrapeptide secreted by the spleen, plays a role in combating pneumococcal sepsis.